Diuretic which can be given in mild to moderate hypertension is
1. Loop diuretic
2. Thiazide
3. Osmotic diuretic
4. Potassium sparing diuretic

Correct answer: 2. Thiazide

Explanation: Thiazides are safe, reduce clinical events. Provide additive blood pressure lowering effects wheb combined with beta blockers, Ace inhibitors or arb's. Potassium sparing diuretics are weak anti hypertensive agents Loop diuretics are reserved for hypertensive patients with reduced GFR or edema or Na retention. Ref:Harrison 20th edition pg no 1901